Nephrotic syndrome is characterized by all except ?
1. Hypoalbuminemia
2. Hypolipidemia
3. Lipiduria
4. Proteinuria > 3.5 gm per 1.73 m2 per 24 hours

Correct answer: 2. Hypolipidemia

Explanation: Ans. is 'b' i.e., Hypolipidemia